A temporary, provisional view held by people on a point of debate is
1. Opinion
2. Practice
3. Attitude
4. Belief

Correct answer: 1. Opinion

Explanation: Opinions are views held by people on a point of dispute. Opinions by definition are temporary, provisional.They are based on the evidence available at the time.Beliefs, on the other hand, are permanent, stable, almost unchanging.We accept beliefs, without trying to prove that they are true.Park 23e pg: 676